Handedness gets firmly established by what age?
1. 2 years
2. 2.5 years
3. 3 years
4. 3.5 years

Correct answer: 3. 3 years

Explanation: Handedness begins at around 2 years.
It gets firmly established by 3 years.